Occular basement membrane is stained by -
1. Alcian blue
2. PAS
3. Methylene blue
4. Geimsa stain

Correct answer: 2. PAS

Explanation: Basement membranes are periodic acid-Schiff (PAS) positive amorphous structures that lie underneath epithelia of differenent organs